Two patients presented with significant atherosclerosis. One had significant comorbid diabetes and the other is non-diabetic. The incidence of which of the following is increased 100 times in the patients having diabetes, when both are compared?
1. Myocardial infarction
2. Ischemic stroke
3. Lower limb ischemia
4. Vertebrobasilar insufficiency

Correct answer: 3. Lower limb ischemia

Explanation: Ans. c. Lower limb ischemia Diabetes mellitus induces hypercholesterolemia and markedly increases the risk of atherosclerosis. Other factors being equal, the incidence of myocardial infarction is twice as high in diabetics as in nondiabetics. There is also an increased risk of strokes and a 100-fold increased risk of atherosclerosis-induced gangrene of the lower extremities."- Robbins 9/e p493